The coupling agent used in composite resin
1. Colloidal silica
2. Urethane dimethacrylate
3. Organo silanes
4. Diketones

Correct answer: 3. Organo silanes